All of the following is true about Hepatitis B Vaccination except -
1. Surgeons and Health care workers must be vaccinated
2. It is recommended to be given immediately at birth
3. It is a live attenuated vaccine
4. Booster dose is indicated if there is poor titres.

Correct answer: 3. It is a live attenuated vaccine

Explanation: Ans. is 'c' i.e., It is a live attenuated vaccine o Both passive and active immunization are available for HBV infection prophylaxiso Passive prophylaxis is by hepatitis B immune globulin (HBIG).o Active immunization is by recombinant hepatitis B vaccineo These are two recombinant vaccines :1) Recombivax - HB2) Engerix - Bo Vaccine is given intramuscular into the deltoid or in infants into the anterolateral aspect of thigh. Gluteal injection is not recommended as it may result in poor immune response,o Three doses are given at 0, 1 and 6 monthso For pre exposure prophylaxis only hepatitis B vaccine is given.o For post exposure prophylaxis combination of HBIG and hepatitis B vaccine is recommendedo For perinatal exposure single dose of HBIG at birth along with complete course of vaccination is recommended. First dose of vaccine should be given within 12 hours after birth.